A child plays a simple ball game at –
1. 52 weeks
2. 36 weeks
3. 12 weeks
4. 48 weeks

Correct answer: 1. 52 weeks

Explanation: A child plays a simple ball game at 1 year (52 weeks).